Q fever is caused by?
1. Rickettsia typhi
2. Rochalimea Quintana
3. Coxiella burnetii
4. Rickettsia ricketssi

Correct answer: 3. Coxiella burnetii

Explanation: ANSWER: (C) Coxiella burnetiiREF: Harrison's 17ed table 167.1Q fever is caused by "Coxiella burnetii" by Inhalation of aerosols of infected parturition material (sheep, dogs, others), ingestion of infected milk or milk product.